A pt. with psoriasis was started on systemic steroids. After stopping t/t pt. developed generalized pustules all over his body, the most likely cause is:
1. Drug induced reactions
2. Pustular Psoriasis
3. Bacterial infection
4. Septicemia

Correct answer: 2. Pustular Psoriasis

Explanation: Ans. is 'b' i.e Pustular Psoriasis Pustular Psoriasis - It is generalized pustule formation which can complicate asArthritis*Exfoliation*Constitutional Symptoms *Conditions which precipitate pustular psoriasisSteroids *Salicylates*Iodides *